Golgi tendon organ helps in detection
1. Muscle length
2. Reflex muscle tension
3. Nutrional status
4. Excretory function

Correct answer: 2. Reflex muscle tension

Explanation: (Reflex muscle tension): (232-33 Ganong24 edition, 910-A.KJain 5 ; 661-Guyton 12 )Golgi Tendon Organ Helps Control Muscle TensionGTO is an encapsulated sensory receptor through which muscle tendon fibers pass. About 10 to 15 muscle fibers are usually connected to each GTO, and the organ is stimulated when this small bundle of muscle fibers is "tensed" by contracting or stretching the muscle. Thus the major difference in excitation of the Golgi tendon organ versus the muscle spindle is that the spindle detects muscle length and changes in muscle length, whereas the tndon organ detects muscle tension as reflected by the tension in itself* GTO has both dynamic response and static response* GTO provide the nervous system with instantaneous information on the degree of tension in each small segment of each muscle* It acts as a protective reflexGolgi tendon organPathway responsible for the stretch reflex and inverse stretch reflex